Mean cerebral blood flow is
1. 1500 ml/min
2. 2000 ml/min
3. 756 ml/min
4. 250 ml/min

Correct answer: 3. 756 ml/min

Explanation: The average cerebral blood flow in young adults is 54 mL/100 g/min. The average adult brain weighs about 1400 g, so the flow for the whole brain is about 756 mL/min.Ref: Ganong's Review of Medical Physiology, Twenty-Third Edition